True about thoracic outlet syndrome are the below EXCEPT
1. Adson's test is used for diagnosis
2. It may be caused by cervical rib
3. Pain, numbness and paranesthesia in the involved extremity occur
4. Upper trunks of the brachial plexus are commonly affected

Correct answer: 4. Upper trunks of the brachial plexus are commonly affected

Explanation: Ans. (d) Upper trunk of brachial plexus are commonly affectedRef: Short Cases in Surgery by RRM* In Thoracic outlet syndrome - Lower trunk (C8, T1) Ulnar nerve is compressed* Subclavian artery is compressed - detected by Adson's test